Glioblastoma multiforme may occur in the following except -
1. Cerebrum of adult
2. Brain stem of child
3. Spinal cord of adult
4. Adrenal medulla of child

Correct answer: 4. Adrenal medulla of child

Explanation: Glioblastoma multifonne is high grade astrocytoma, a tumor of the central nervous system.